The antiviral drug used for treatment of cytomeglovirus retinitis is:
1. Acyclovir
2. Ganciclovir
3. Triflurothymidine
4. All of the above

Correct answer: 2. Ganciclovir

Explanation: Ans. Ganciclovir